Gram positive, catalase negative cocci -
1. Staph aureus
2. Staph epidermidis
3. Staph saprophyticus
4. Pneumococcus

Correct answer: 4. Pneumococcus

Explanation: Ans. is 'd' i.e., Pneumococcus